Drugs that can be used in Kernicterus
1. Barbiturates
2. Benzodiazepines
3. Phenytoin
4. Chlorpromazine

Correct answer: 1. Barbiturates

Explanation: Barbiturates can be used in Kernicterus . Reference: GHAI Essential pediatrics, 8th edition